Which among the following is not an autoimmune disease
1. Myasthenia gravis
2. Systemic lupus erythematosus
3. Sickle cell disease
4. graves diesease

Correct answer: 3. Sickle cell disease

Explanation: Sickle cell disease is a genetic condition which is characterized by mutation in beta globin chain of hemoglobin (glutamic acid is replaced with valine in the 6th position of beta chain).
• Other given choices like SLE, Graves and MG are all autoimmune conditions